Most common mitochondrial enzyme for metabolism detoxification reaction is ?
1. CYP 3A4
2. CYP 1A2
3. CYP 2A6
4. CYP 2B6

Correct answer: 1. CYP 3A4

Explanation: Ans. is 'a' i.e., CYP 3A4 Subtypes of cytochrome P-450 Depending upon the extent of amino acid sequence homology, the cytochrome P-450 (CYP) isoenzymes are grouped into families designated by capital letters (A, B, C ....). Individual isoenzymes are again alloted numerals (1, 2, 3 ....). Examples are CYP1A2, 2A6, 2B6, 2C8, 3A4/3A5. In human beings, only a few members of three isoenzyme families carry out metabolism of most of the drugs. Cyp 3 A 4/5 carryout biotransformation of largest number (nearly 50%) of drugs. Important inducers of CYP 3A4/3A5 Barbiturates Glucocorticoids Rifampin Macrolide antibiotics Carbamazepine Phenytoin Pioglitazone